The following statement is not true about the use of clonidine in the treatment of hypertension ?
1. Reduction in central sympathetic outflow
2. Increase in LDL-cholesterol on prolonged use
3. Sedation and xerostomia are common side effects
4. It can be combined with vasodialators

Correct answer: 2. Increase in LDL-cholesterol on prolonged use

Explanation: Ans. is 'b' i.e., Increase in LDL-cholesterol on prolonged use o Clonidine is a selective a2 receptor agonist. It can act on peripheral a2 receptors also but its major hemodynamic effects result from action on central sites primarily in medulla (Vasomotor centre) o It stimulates a2 receptors present mainly postjunctionally at these sites (central) 4 decrease in sympathetic outflow 4 fall in B.P. and bradycardia. So it is used as an antihypertensive o Decreased sympathetic outflow to kidney results in reduced renin release so it can be combined with other antihypertensives which increase plasma renin activity such as Diuretics Vasodilators CCB's ACE inhibitors Clonidine has no effect on plasma lipid level. o Adverse effects sedation mental depression dryness of mouth (xerostomia), nose and eyes constipation impotency